Segment IV of liver corresponds to
1. Caudate Lobe
2. Quadrate Lobe
3. Left lateral superior
4. Left lateral inferior

Correct answer: 2. Quadrate Lobe

Explanation: Segment 1 - Caudate Lobe.
Segment IV - Quadrate Lobe.